All are true about pre eclampsia except
1. Cerebral hemorrhage
2. Necrosis of liver
3. Glomerular endotheliosis
4. DVT

Correct answer: 4. DVT

Explanation: Pathophysiology of preeclampsia: In Brain: The main finding is cerebral vasospasm.Small cerebral haemorrhages,thrombosis, and fibrinoid necrosis can occur especially in eclampsia.Cerebral oedema also usual in eclampsia In Liver: Periportal thrombosis and fibrin deposition,hemorhages,necrosis are seen in the liver.There is an increase in liver enzymes and clinical jaundice can occur. In Kidney : Main pathology seen is glomerular and tubular dysfunction and glomerular endotheliosis,which comprises swollen endothelial cells due to fibrin deposition. TEXT BOOK OF OBSTETRICS,Sheila Balakrishnan,2nd edition,page no.256